A 45-year-old man presents with a painless mass in the neck. A 4-cm firm, movable tumor is identified at the angle of the left jaw. A biopsy of the tumor reveals myoepithelial cells intermingled with myxoid, mucoid, and cartilaginous areas. The tumor is removed surgically. Which of the following is the most likely prognosis?
1. Contralateral spread
2. Invasion of bone
3. Local recurrence
4. Malignant transformation

Correct answer: 3. Local recurrence

Explanation: Pleomorphic adenoma- Most common tumor of the salivary glands Benign neoplasm characterized by a biphasic appearance which represents an admixture of epithelial and stromal elements. Complete surgical resection is difficult because of tumor's proximity to facial nerve- Recurrence is frequent Tumor implanted during surgery or tumor nodules left behind continue to grow as recurrences in the scar tissue of the previous operation. Malignant transformation (choice D) is exceedingly rare.